Indicator solution in Horrocks apparatus contains
1. Ortho toludine
2. Starch iodide
3. Orthotoludine arsenite
4. Bromocresol purple

Correct answer: 2. Starch iodide

Explanation: Horrock's apparatus is designed to find out the dose of bleaching powder required for disinfection of water.Starch-iodide indicator solution is used.Park 23e pg: 728